Which bone scan is done to detect metastasis of bone is
1. Tc 99 diphosphonate
2. Th201
3. Tc 99 DMSA
4. Tc 99 sulphur colloid

Correct answer: 1. Tc 99 diphosphonate

Explanation: Bone scan is performed with technetium-99m-labeled diphosphonates.